H. pylori have been implicated in all, except
1. Gastric ulcer
2. Gastric lymphoma
3. Gastric leiomyoma
4. Gastric carcinoma

Correct answer: 3. Gastric leiomyoma

Explanation: H. pylori infection is almost always present in the setting of active chronic gastritis and is present in most patients with duodenal (80% to 95%) and gastric (60% to 90%) ulcers.H. pylori infection was associated with a twofold increased risk of developing gastric cancer. There is also a strong association between mucosa-associated lymphoid tissue (MALT) lymphoma and H. pylori infection.Sabiston 20th edition pg: 1198